Six years old child with obstructed hernia on exploration bowel was found gangrenous-True about anastomosis:
1. Should be done by continuous layers as it takes less time
2. Done with catgut
3. should be done by using single layer seromuscular lambert sutures
4. Single layer taking submucosa.

Correct answer: 4. Single layer taking submucosa.

Explanation: Ref. API Textbook of Medicine. Pg. 210
Single layer taking submucosa.